Abnormalities of copper metabolism are implicated in the pathogenesis of all the following except -
1. Wilson's disease
2. Monkes' Kinky-hair syndrome
3. Indian childhood cirrhosis
4. Keshan disease

Correct answer: 4. Keshan disease

Explanation: Ans. is 'd' i.e., Keshan disease o Keshan disease is a disorder of selenium metabolismo Following diseases are related to copper metabolism:-i) Wilson's diseaseii) Menkes kinky hair syndromeiii) Indian childhood cirrhosis (increased hepatic, urinary and serum copper concentration are characteristic of ICC).